Which of the following most strongly suggests the diagnosis of primary hyperparathyrodism?
1. Serum acid phosphatase above 120IU/L
2. Serum calcium above 11 mg/dL
3. Urinary calcium below 100 mg/day
4. Serum alkaline phosphatase abve 120 lU/L

Correct answer: 2. Serum calcium above 11 mg/dL

Explanation: Diagnostic criteria for primary hyperparathyroidism and its surgery Ref - semantischolar.org